Acidic property to a-carbon of amino acid is due to
1. Carboxyl group
2. Amino group
3. Hydrogen atom
4. None

Correct answer: 1. Carboxyl group

Explanation: Ans. is 'a' i.e., Carboxyl groupThe acid base properties of amino acids depend on the amino and carboxyl groups attached to the a-carbon.The carboxyl (-COOH) group of an amino acid can donate protein (H') and behave as an acid forming a negatively charged anion (C00-).Amino group (-NH) can accept proton (H') and behave as a base, forming positively charged cation (NH3').